Diagnostic of Rabies -
1. Guameri bodies
2. Negri bodies
3. Cowdry A body
4. Bollinger bodies

Correct answer: 2. Negri bodies

Explanation: Ans. is 'b' i.e., Negri bodies "Negri bodies are pathognomonic for Rabies " - Negri bodies are eosinophilic cytoplasmic inclusion bodies in brain neurons and are composed of randomly oriented rabies virus, nucleocapsids embedded in an amorphous substance or matrix.These inclusions are seen in:-Purkinje cells of cerebellumPyramidal cells of hippocampus Also know:-In Measles * Both nuclear and intracytoplasmic bodies can be seen.